Secondary Polycythemia may be seen in:
1. Cor pulmonale
2. Congestive cardiac failure
3. Acyanotic congenital heart disease
4. All of the above

Correct answer: 1. Cor pulmonale

Explanation: Answer is A (Cor pulmonale): Secondary polycythemia due to decreased tissue oxygenation may be seen in chronic corpulmonale. Polycythemia may also be seen in association with cyanotic congenital heart diseases. Physiologically Appropriate Polycythemia Physiologically inappropriate polycythemia (Secondary to decreased tissue oxygenation or hypoxic (Secondary to appropriate erythropoietin production erythrocytosis) or response) High-altitude erythrocytosis (Monge disease) * Tumors, cysts, hemangiomas, and so forth Pulmonary disease * Androgen abuse - Chronic cor pulmonale * Erythropoietin abuse - Ayerza syndrome * Familial polycythemia Cyanotic congenital heart disease Hypoventilation syndromes - Primary alveolar hypoventilation - Pickwickian syndrome, Ondine curse - Positional desaturation - Sleep apnea Abnormal hemoglobins - Inherited - Acquired: Drugs and chemicals, carboxyhemoglobin - Familial polycythemia